Vogt's triad is indicative of:
1. Past attack of herpes zoster ophthalmicus
2. Past attack of acute-angle closure glaucoma
3. Vogt-Koyanagi-Harada syndrome
4. Past attack of acute iridocyclitis

Correct answer: 2. Past attack of acute-angle closure glaucoma

Explanation: Ans. Past attack of acute-angle closure glaucoma